All are features of catatonia except -
1. Automatic obedience
2. Cataplexy
3. Catalepsy
4. Negativism

Correct answer: 2. Cataplexy

Explanation: Catalepsy (waxy flexibility) is seen in catatonia, not cataplexy (sudden loss of muscle tone). Cataplexy is seen in narcolepsy.